Acetyl CoA is generated primarily in mitochondria. However, fatty acid synthesis from acetyl CoA occurs extramitochondrial (in the cytosol). By which one of the following mechanisms does acetyl CoA leave the mitochondrion and enter the cytosol?
1. The acetyl group is transferred to carnitine to form acetyl carnitine, which is transported across the inner mitochondrial membrane to the cytosol where it reacts with CoA to regenerate acetyl CoA
2. Acetyl CoA condenses with oxaloacetate to form citrate, which is transported into the cytosol where it is cleaved to generate acetyl CoA and oxaloacetate in an ATP-dependent reaction
3. Acetyl CoA reacts with carbon dioxide to form malonyl CoA, which is transported across the mitochondrial membrane
4. The mitochondrial membrane permits permeation of acetyl CoA by active transport

Correct answer: 2. Acetyl CoA condenses with oxaloacetate to form citrate, which is transported into the cytosol where it is cleaved to generate acetyl CoA and oxaloacetate in an ATP-dependent reaction

Explanation: Carnitine transfers fatty acids from cytosolic fatty acyl CoA to form mitochondrial fatty acyl CoA. The conversion of acetyl CoA to malonyl CoA occurs in the cytosol. Coenzyme A cannot pass through the inner mitochondrial membrane. Acetoacetyl CoA has to be converted to HMG CoA before it is converted to acetoacetate. Ref: Botham K.M., Mayes P.A. (2011). Chapter 23. Biosynthesis of Fatty Acids & Eicosanoids. In D.A. Bender, K.M. Botham, P.A. Weil, P.J. Kennelly, R.K. Murray, V.W. Rodwell (Eds), Harper's Illustrated Biochemistry, 29e.